The mean median and mode are the same in a
1. Normal distribution
2. Poisson distribution
3. Binomial distribution
4. None of the above

Correct answer: 1. Normal distribution